Increased ICT is associated with all of the following except -
1. Disc - oedema
2. Macular oedema
3. Normal vision
4. Afferent pupillary defect

Correct answer: 4. Afferent pupillary defect

Explanation: Pupillary reactions usually remain fairly normal until late stages.